The following are live attenuated vaccines, except-
1. BCG
2. Oral typhoid
3. Measles
4. Pertussis

Correct answer: 4. Pertussis

Explanation: pertussis vaccine is usually given combined with tetanus toxoid and diphtheria toxoid.among them pertussis is an acellular vaccineref;parks textbook,ed22,pg 154